While doing cesarean section, the lower segment of the uterus is physically identified by :
1. Loose attachment of visceral peritoneum
2. Dilated venous sinuses
3. Deflection of uterine artery towards upper segment
4. Thinness of its wall as compared to the upper segment

Correct answer: 1. Loose attachment of visceral peritoneum

Explanation: Loose attachment of visceral peritoneum